PO2 over 8kPa is (Hp saturation)
1. 60%
2. 70%
3. 80%
4. 90%

Correct answer: 4. 90%

Explanation: PO2 over 8kPa is 90%Ref: Ganong's Review of Medical Physiology; 24th edition; page no: 642